A patient had injury to right leg by road traffic accident and his leg was amputated. This is ?
1. Disease
2. Disability
3. Impairment
4. Handicap

Correct answer: 3. Impairment

Explanation: Ans. is 'c' i.e., Impairment Any loss of anatomical structure (e.g. loss of leg in this question) is called as impairment. According to WHO definitions, Disease: Any abnormal condition of an individual that impairs function Impairment: Any loss or abnormality of psychological, physiological or anatomical structure or function Disability: (Because of impairment,) any restriction or inability to perform an activity in a range considered normal for a human being Handicap: A disadvantage for a given individual, resulting from an impairment/disability, that limits/prevents fulfillment of a role considered normal (depending on age, sex, social, cultural factors) for that individual For example, Event Classification Interpretation Accident Disease Impairs function of a person Loss of foot Impairment Loss of anatomical structure in the form of foot Cannot Walk Disability Walking is a normal routine daily activity of a human being Unemployed Handicap Loses out his job because he cannot walk, so cannot fulfill his role in the society, i.e, earning for his family members